Which of the following disease is transmitted by rat flea ?
1. Trench fever
2. Chages disease
3. Oriental sore
4. Endemic typhus

Correct answer: 4. Endemic typhus

Explanation: Ans. is 'd' i.e., Endemic typhus